Common natural flora of skin are -
1. Streptococcus
2. Staphylococcus aureus
3. Candida albicans
4. All

Correct answer: 4. All

Explanation: Ans. is 'a' i.e., Streptococcus; 'b' i.e., Staphylococcus aureus; 'c' i.e., Candida albicans Normal Microbial flora or normal commensal flora or indigenous flora .Normal microbial flora term is used to describe microorganisms that are frequently found in particlar anatomic sites in healthy individuals. . The constitients and numbers of the flora vary in different anatomic sites and sometimes at different ages of life. . Perhaps one of the most important roles of the normal microbial flora is to help prevent infectious disease following exposure to potential microbial pathogens. The normal commensal has the physical advantage of previous occupancy, especially on skin and mucous membrane. . The normal flora of the intestine plays an important role in human nutrition and metabolism. Normal microbial flora of skin - Resident Transient flora Corynebacteriurn, Micrococcus, Coagulase Staph aureus, viridans streptococci negative staphylococci, Propionobacterium, group A streptococci, Enterococcus Pityrosporrum, Demodex follicularum Malassezia, E.coli, Proteus, Klebsiella, Candida, Trichophyton.